Uterine height is greater than gestational age of the patient in a case of all except -
1. Fibroid uterus
2. IUGR
3. Wrong dates
4. Polyhydramnios

Correct answer: 2. IUGR

Explanation: Ans. is 'b' i.e., IUGR o Uterine height greater than gestational age in case of:a) Wrong datesb) Polyhydramniosc) Pregnancy with fibroid uterusd) Multiple pregnancy